Positive sense nucleic acid genome is found in ?
1. Polio virus
2. Papovavirus
3. Influenza
4. All

Correct answer: 1. Polio virus

Explanation: Ans. is 'a' i.e., Polio virus . Picorna virus has positive strand RNA. . Polio virus is a picorna virus.